Hepatic-encephalopathy may be precipitated by all of the following except -
1. Anemia
2. Barbiturates
3. Hyper kalemia
4. Hypothyroidism

Correct answer: 3. Hyper kalemia